Best investigation for pericardial effusion is:
1. Cardiac catheterization
2. USG
3. Echocardiography
4. Lateral view X-ray chest

Correct answer: 3. Echocardiography

Explanation: Ans. Echocardiography